The drug that inhibits uterine contractility and cause pulmonary edema is :
1. Ritodrine
2. Nifedipine
3. lndomethacin
4. Atosiban

Correct answer: 1. Ritodrine

Explanation: Ans. is a i.e. Ritodrine Pulmonary edema is a serious complication of beta-adrenergic therapy (ritodrine) and MgSO4. This complication occurs in patients receiving oral or (more common) intravenous treatment. It occurs more frequently in patients who have excessive plasma volume expansion, such as those with twins or those who have received generous amounts of intravenous fluids and in patients with chorioamnionitis. Patient presents with respiratory distress, bilateral rales on auscultation of the lungs, pink frothy sputum, and typical X-ray picture. Patients receiving IV beta-adrenergic drugs should be monitored continuously with pulse oxymeter to anticipate the development of pulmonary edema.